Pneumotaxic center is located in
1. Medulla
2. Midbrain
3. Pons
4. Cerebellum

Correct answer: 3. Pons

Explanation: Pneumotaxic centre is located in pons Ref: guyton and hall textbook of medical physiology 12 edition page number:370,371,372